Risk factors for gonococcal infection is all except
1. Age > 25 year
2. Prior or current STDs
3. New or multiple sexual partners
4. Lack of barrier modes of protection

Correct answer: 1. Age > 25 year

Explanation: Age < 24 years is a risk factor.